C-C beta chemokine includes -
1. IL-8
2. Eotaxin
3. Lymphotactin
4. Fractalkine

Correct answer: 2. Eotaxin

Explanation: C-C chemokines have the first two conserved cysteine residues adjacent attracts all leukocytes except neutrophils C-C chemokines, which include MCP-1-monocyte chemoattractant protein eotaxin selectively recruits eosinophils RANTES (regulated and normal T-cell expressed and secreted) MIP-1a macrophage inflammatory protein-1a generally attract monocytes, eosinophils, basophils and lymphocytes The eotaxins are a CC chemokine subfamily of eosinophil chemotactic proteins. In humans, there are three family members: CCL11 (eotaxin-1) CCL24 (eotaxin-2) CCL26 (eotaxin-3) ref robbins 9th ed page 87